Which of the following statement is false with respect to Pes planus ?
1. Obliterated/lost medial longitudinal arch leads to Pes planus .
2. If heel goes to lateral deviation it is called Plano valgus .
3. Rigid type on Jack's test often require conservative intervention .
4. Most common cause is idiopathic .

Correct answer: 3. Rigid type on Jack's test often require conservative intervention .

Explanation: Pes planus or Flat feet is a postural deformity due to medial longitudinal arch flatening. M\C cause-idiopathic Types ( on basis of Jacks test) 1)Flexible = arch disappears when placed on ground & comes back when foot is lifted off. Mx - conservative 2) Rigid = Flat on both ground & when lifted . Due to congenital vertical talus/ RA/ infection or tarsal coalition (AD - talocalcaneal and calcaneo navicular) or tibialisposterior dysfunction -They often require surgical intervention Congenital vertical talus (Rocker-bottom foot) Treatment as per age and severity: Children 1 to 4 years old- Open reduction and realignment of the talonavicular and subtalar joints. Children 4 to 8 years old- Open reduction and soft-tissue procedures combined with extraar-ticular subtalar arthrodesis. Children 12 years old or older- Triple arthrodesis for permanent correction of the deformity.